In Duke's classification of colorectal carcinoma stageA means
1. Involvement upto muscularis propria
2. Involvement beyond muscularis propria
3. Positive lymph node involvement
4. Distant metastasis

Correct answer: 1. Involvement upto muscularis propria

Explanation: (A) Involvement up to muscularis propria # Duke's prognostic classification> A-growth in colon/rectum only> B-growth extending to extrarectal tissues but no metastasis to regional lymph nodes> C-secondary deposits in regional lymph nodes